Castleman's disease is associated with?
1. Necrotizing vasculitis
2. Benign lymphoid hyperplasia
3. Necrotizing lymphadenitis
4. Coagulation defect

Correct answer: 2. Benign lymphoid hyperplasia

Explanation: Answer- B. Benign lymphoid hyperplasiaCastleman disease (CD)It is arare bmignlymphoproliferctive dborder.Although Castleman disease is not cancerous, it may also be associated with malignancies such as Kaposi sarcoma, non-Hodgkin lymphoma, Hodgkin lymphoma and POEMS syndrome